The normal reticulocyte count is:
1. 0.2-2%
2. 4-6%
3. 6-10%
4. 12-14%

Correct answer: 1. 0.2-2%

Explanation: The remaining basophilic material in the reticulocyte normally disappears within 1 to 2 days, and the cell is then a mature erythrocyte. Because of the short life of the reticulocytes, their concentration  among all the red cells of the blood is normally slightly less than 1 percent. So closest answer here is option A.